Last organ to be dissected during autopsy in death caused by asphyxia is:
1. Neck
2. Head
3. Abdomen
4. Thorax

Correct answer: 1. Neck

Explanation: Ans. a. Neck ast organ to be dissected during autopsy in death caused by asphyxia is neck Autopsy in Asphyxial Death Detailed study of the neck organs is required during autopsy of asphyxia death. Cranial, thoracic and abdominal organs are removed before dissecting the neck, so that, the body is drained of blood. Such draining provides a clean bloodless field for the study of neck organs and prevents any artificial seepage of blood in soft tissues of the neckQ